Colic generally disappear by age -
1. 1 year
2. 2 years
3. 4 months
4. 8 months

Correct answer: 3. 4 months

Explanation: Ans. is 'c' i.e., 4 months Colic (Evening colic) o Colic is characterized by intermittent episodes of abdominal pain in young infants who are etherwise well. o It usually begins at 1-2 weeks of age and can persist till 3-4 months of age. o Crying occurs in the late afternoon or evening. The diagnosis is confirmed when the infant cries more than 3 hours per day fir more than 3 days per week for more than 3 weeks. Causes o Exact cause is unknown. o Overactive child and overanxious parents o Aerophagia o Hunger o Cow's milk intolerance immaturity of intestine o Overfeeding with high carbohydrate containing food.